A patient presented with pain in right testis Examination reveals bay of worms suggestive of varicocele. Right testicular vein drains into
1. Hemiazygous vein
2. IVC
3. Inferior mesentric vein
4. Renal vein

Correct answer: 2. IVC

Explanation: Right testicular vein drains into IVC
Left testicular vein drains into left renal vein